Nakayama strain used for which vaccine ?
1. Typhoid
2. Chicken pox
3. Japanese encephalitis
4. Yellow fever

Correct answer: 3. Japanese encephalitis

Explanation: Strains used for JE vaccines:-

Nakayama strain
Beijing strain